Proteins are sorted by:
1. Golgi bodies
2. Mitochondria
3. Ribosomes
4. Nuclear membrane

Correct answer: 1. Golgi bodies

Explanation: Ans. A. Golgi bodiesFunctions of Golgi bodiesO-Glycosylation of proteinsProtein sortingProcessing of oligosaccharide chains of Glycoproteins